There is a case of infanticide. During the post-mortem examination, the doctor performs Breslau's second life test. This test detects changes in which of the following organ
1. Brain
2. Heart
3. Lung
4. Stomach and intestine

Correct answer: 4. Stomach and intestine

Explanation: Ans. d. Stomach and intestine Breslau's Second Life Test (Stomach Bowel test) Principle: It assumes that a live born child would respire and therefore would also swallow some air into the stomach and bowelQ. Thus detecting the presence of air in stomach and intestine (positive test) proves live birth (even in absence of positive hydrostatic lung test if there had been some obstruction in respiratory However, negative test (absence of air in stomach and bowel) does not always mean still-birth since air does not necessarily enter stomach in adequate amounts during act of breathing. Procedure: The stomach and intestine are removed separately after tying double ligature at each end, place them both in water. They float in water if respiration has taken place, otherwise they will sink No medicolegal value Because air may be swallowed by child in attempting to free the air passage of fluid obstruction in case of still-birth. It is useless in putrefaction Other Tests in Infanticide For Lungs Static test or Fodere's testa: Weight of lung before (30-40 g) and after 66 gm) is measured. The increase in weight of lung is due to increased blood flow Ploucquet's testa: Weight of lung is doubled after respiration (Before respiration-1/70 of body weight, after respiration-1/35 of body weight) Hydrostatic test (Raygat's test)a: It is based on a fact that on breathing, the volume of lungs is increased, which more than compensates the weight of additional blood, due to which their specific gravity is diminished. For Middle Ear Werdin's test: Before birth, the middle ear contains gelatinous embryonic connective tissue. With respiration, the sphincter at the pharyngeal end of eustachian tube relaxes and air replaces the gelatinous substance in few hours to five weeks. This is not reliable